In cotrimoxazole, sulphamethoxazole and trimethoprim are in ratio of:
1. 2:01
2. 1:01
3. 5:01
4. 4:05

Correct answer: 3. 5:01

Explanation: 5:01